Which one of the following mosquito transmits West Nile fever?
1. Anopheles
2. Aedes
3. Mansonoides
4. Culex

Correct answer: 4. Culex

Explanation: (D) Culex Mosquito-borne diseases in India* Anopheles* Malaria* Filaria (not in India)* Culex* Bancroftian filariasis* Japanese encephalitis* West Nile fever* Viral arthritis (epidemic/polyarthritis)* Aedes* Yellow fever (not in India)* Dengue; Dengue haemorrhagic fever* Chikungunya fever* Chikungunya haemorrhagic fever* Rift valley fever* Filaria (not in India)* Mansonoides* Malayan (Brugian) filariasis* Chikungunya fever